Causes of dysfunctional uterine bleeding can be:
1. Uterine polyp
2. Fibroid
3. Granulosa cell tumour
4. Irregular ripening of endometrium

Correct answer: 4. Irregular ripening of endometrium

Explanation: Ans. is d and e i.e. Irregular ripening of endometrium; and Irregular shedding of endometrium DUB is defined as a state of abnormal uterine bleeding without any clinically detectable organic pelvic pathology. DUB is of two types : 1. Anovulatory (80%) 2. Ovulatory (20%) Anovulatory (80%) : * Threshold bleeding of puberty menorrhagia Metropathia hemorrhagicadeg/cystic glandular hyperplasiadeg Premenopausal DUB (Atrophy of endometrium). Ovulatory (20%) : Irregular ripeningdeg Irregular sheddingdeg IUCD insertion Following sterilization operation.